Keyhole Appearence on ultrasound is seen in
1. Polycystic kidney
2. Hydronephrosis
3. Intracapsular Breast implant rupture.
4. Posterior urethral valve

Correct answer: 4. Posterior urethral valve

Explanation: *Key hole appearance on antenatal scan is a feature of posterior urethral valve *Key hole appearance/linguine sign on breast MRI is a feature of intracapsular Breast implant rupture.